Which is an example of type-HI hypersensitivity
1. Contact dermatitis
2. Hemolytic anemia
3. Serum sickness
4. Good pasture syndrome

Correct answer: 3. Serum sickness

Explanation: Ans. is 'c' i.e., Serum sickness